In Equivalent concentrations, steroids are more potent in which form?
1. Gel
2. Cream
3. Ointment
4. Lotion

Correct answer: 3. Ointment

Explanation: Ointment preperation are more potent due to their occlusive properties. It provide better barrier protection and emollient action. It is more potent than cream, gel or lotion form. Ref: Clinical Pharmacy By Jeff Hughes, William Hughes, Page 114; Primary Care for Women By Phyllis Carolyn Leppert, Jeffrey F. Peipert, Page 846.